Most common location of extradural hematoma is
1. Frontal area
2. Temporal area
3. Mastoid area
4. Posterior fossa

Correct answer: 2. Temporal area

Explanation: The most common site is temporal, as the pterion is not only the thinnest part of the skull but also overlies the largest meningeal artery –the middle meningeal. An EDH may also occur in other regions such as frontal as well as in the posterior fossa.